Antiinflammatory action of steroid is due to inhibition of
1. Cyclooygenase
2. Lipooxygenase
3. Phospholipase A2
4. Myeloperoxidase

Correct answer: 3. Phospholipase A2

Explanation: Ans. is'c' i.e., Phospholipase A2(Ref: KDT Vh/e p. 286)Glucocorticoids interfere at several steps in the inflammatory response but the most important overall mechanism appears to be limitation of recruitment of inflammatory cells at the local site and production of proinflammatory mediators like PCs. LTs. PAF through inhibition of phospholipase A2